Golgi tendon apparatus conveys message to CNS, depends upon:
1. Tension in muscle
2. Length of muscle
3. Rapidity of contraction
4. Blood supply

Correct answer: 1. Tension in muscle

Explanation: Golgi tendon organs are in series with the muscle fibers, they are stimulated by both passive stretch and active contraction of the muscle, when  tension increases inside muscle.